Impedance audiometry is for the pathology of:
1. External ear
2. Middle ear
3. Mastoid air cell
4. Inner ear

Correct answer: 2. Middle ear

Explanation: (b) Middle ear(Ref. Cummings, 6th ed., 2203)In impedance audiometry we do tympanometry which is a measure of the condition of the middle ear at the level of TM.